Limiting amino acid in soyabean is –
1. Threonine
2. Lysine
3. Methionine
4. Tryptophan

Correct answer: 3. Methionine